Palpable plaque with curved penis pointing to the side of plaque is a feature of
1. Peyronies disease
2. Condyloma acuminate
3. Penile carcinoma
4. Hypospadias

Correct answer: 1. Peyronies disease

Explanation: Ans. is 'a' i.e., Peyronies disease * Unyielding palpable plaque in penis with erect penis bent, often dramatically, towards the side of the plaque is a feature of peyronies disease.Peyronie's disease* Peyronie's disease is a common cause of deformity of the erect penis.* Hard plaques of fibrosis can usually be palpated in the tunica of one or both corpora cavernosa. The plaques may be calcified.* The presence of the unyielding plaque tissue within the normally elastic wall of the corpus cavernosum causes the erect penis to bend, often dramatically, towards the side of the plaque.* The aetiology is uncertain but it may be a result of past trauma - there is an association with Dupuytren's contracture.* Disease may continue to progress or remit after 3-5 years.* When the deformity of the penis is causing distress, it may be possible to straighten it by placing non- absorbable sutures in the corpus cavernosum opposite the plaque. This reduces the elasticity in this region to balance that caused by the plaque (Nesbitt's operation).